Hernia containing Meckel's diverticulum is?
1. Hernia of Winslow
2. Littre hernia
3. Maydl's hernia
4. Pantaloon hernia

Correct answer: 2. Littre hernia

Explanation: Ans BSome unusual hernias:# Spigelian hernia is a hernia through the Spigelian fascia, which is the aponeurotic layer between the rectus abdominis muscle medially, and the semilunar line laterally. These are generally interparietal hernias, meaning that they do not lie below the subcutaneous fat but penetrate between the muscles of the abdominal wall; therefore, there is often no notable swelling# Richter's Hernia: It can happen at multiple locations & it involves only a portion of the bowel wall. The portion that is stuck may become strangulated which can result in perforation of the bowel at that site and contamination of the abdomen. Seen more commonly these days at the sites of laparoscopic port insertions.# Amyand's Hernia and DeGarengeot's Hernia: This hernia is named after the English surgeon who performed the first successful appendectomy in 1735. In an Amyand's hernia, the appendix is found inflamed in an inguinal hernia. DeGarengeot's Hernia is similar, in that, the appendix is found in a hernia. Rene Jacques Croissant de Garengeot was an 18th century Parisian surgeon. He was the first to describe the appendix in a femoral hernia.# Hernia of Littre: The hernia of Littre is the presence of a Meckel's diverticulum in a hernia. The common sites are inguinal (50%), umbilical (30%) and femoral (20%).